Lenalidomide co-administration with which another drug increases the risk of thrombosis?
1. Alcohol
2. Barbiturates
3. Glucocorticoids
4. Antibiotics

Correct answer: 3. Glucocorticoids

Explanation: Recently, combination regimens incorporating lenalidomide plus dexamethasone or prednisone have been shown to be more effective as first-line therapy. Lenalidomide was approved by the Food and Drug Administration (FDA) in late 2005 as a consequence of trials that showed its effectiveness in the treatment of the myelodysplastic syndrome with the chromosome 5q31 deletion. Clinical trials using lenalidomide to treat newly diagnosed as well as relapsed or refractory multiple myeloma showed similar efficacy, leading to FDA approval for myeloma as well. Its side effect profile is similar to that of thalidomide, although with less teratogenic effect and fewer thromboembolic events.